Pin code index of N2O is –
1. 1,6
2. 2,5
3. 2,6
4. 3,5

Correct answer: 4. 3,5